All are reversible causes of dementia except -
1. Hypothyroidism
2. Hydrocephalus
3. Meningoencephalitis
4. Alzheimer's disease

Correct answer: 4. Alzheimer's disease

Explanation: Ans. is 'd' i.e., Alzhimer's disease Reversible causes of dementia1) Surgically treatable :- Normal pressure hydrocephalus, brain tumors (frontal lobe tumor), meningioma, subdural hematoma due to head injury, hydrocephalus.2) Medically treatable :- Depression, hypothyroidism, alcohol abuse, vitamin B Jfolate/Niacin deficiency, any metabolic or endocrine disturbance, neurosyphilis, Hashimoto's encephalopathy, Wilson's disease, celiac disease, whipple's disease, chronic meningoencephalitis, drugs and toxin (toxic dementia).Irreversible causes of dementia :- Alzheimer's disease, vascular (multi-infarct) dementia, Parkinsonism, Huntington 9s chorea, Lewy body dementia, Pick's disease.